Decreased Q2 carrying capacity and Normal PO2 is a feature of :
1. Anemic hypoxia
2. Histotoxic hypoxia
3. Stagnant hypoxia
4. Hypoxic hypoxia

Correct answer: 1. Anemic hypoxia

Explanation: Subnormal level of hemoglobin causes decreased oxygen – carrying capacity of the blood. This in turn initiates compensatory physiologic adaptations such as :
o Increased release of oxygen from hemoglobin. o Increased blood flow to the tissues.
o Maintenance of the blood volume ; and
o Redistribution of blood flow to maintain the cerebral blood supply.
o Eventually, however, tissue hypoxia develops causing impaired functions of the affected tissues.